NADA's criteria are used for :
1. Assessment of child for degree of dehydration
2. Assessment of child for degree of malnutrition
3. Assessment of child for presence of heart disease
4. Assessment of child for degree of intellectual disability

Correct answer: 3. Assessment of child for presence of heart disease

Explanation: Ans. is 'c' Assessment of child for the presence of heart disease The assessment of a child for the absence or presence of Heart disease can be done with the help of some guidelines suggested by NAD A and are called NADA's criteria.NADA's criteriaEither one major or 2 minor criteria are necessary for indicating the presence of heart diseaseMajor criteriaSystolic murmur grade HI or more in intensityPansystolic murmur of any grade is always organicEjection systolic with thrill is always organicDiastolic murmur is always organic Two exceptionsSevere systemic hypertension (AR)Anemia (MS, TS)Cyanosis (Central Cyanosis)CHF always indicates heart disease except in infants who can have CHF from anemia or hypoglycemiaMinorSystolic murmur less than grade IIIAbnormal Ibid heart soundAbnormal B.P.Abnormal x-rayCardiomegaly in inspiration is highly suggestive of heart disease.Abnormal ECG.